A 35-yr-old lady with a chronic backache. On X-ray she had a D12 collapse. But Intervertebral disc space is maintained. All are possible except -
1. Multiple myeloma
2. Osteoporosis
3. Metastasis
4. Tuberculosis

Correct answer: 4. Tuberculosis

Explanation: Though IV disc space can be preserved in less common types of TB spine, in the most common (approx 98%) paradisical variety of TB spine, IV disc space is always involved.
"A radiographic finding of destruction of the vertebra along with diminution of the intervertebral disc space is considered pathognomic of tuberculosis. "- T.B. Of Orthopedics By Kotwal 2005/e p 91
As a rule neoplastic and traumatic/osteoporotic collapse show sparing of the intervertebral disc. Common neoplasms in adult causing vertebral collapse are metastasis and multiple myeloma, while in children vertebral collapse may indicate histiocytosis (vertebra plana).
Disc space narrowing is seen in degenerative diseases and infection of the disc space.